Which of the following is primordial prevention for NCD (non communicable disease) -
1. Salt restriction in high NCD area
2. Smoking cessation in high NCERT area
3. Preservation of traditional diet in low NCD area
4. Early diagnosis & treatement

Correct answer: 3. Preservation of traditional diet in low NCD area

Explanation: Ans. is 'c' i.e., Preservation of traditional diet in low NCD area o A novel approach to primary prevention ofnon-communicable disease, e.g. coronary heart disease, isprimordial prevention. o It involves preventing the emergence and spread of CHD risk factors and life styles that have not yet appeared or become endemic prevention of risk factors themselves. o This applies to developing countries in particular. o These countries should seek to preserve their traditional eating patterns and life styles associated with low levels of CHD risk factors. o Physical exercise is an example of primordial prevention. About other options o Salt restriction in high NCD area is primary prevention because risk factor (high salt intake) is already present. o Similarly, smoking cessation in high NCD area is primary prevention as risk factor (smoking) is already present. o Early diagnosis & treatment is secondary prevention.